In which of the following condition is Ground glass appearance of maxillary sinus seen?
1. Maxillary Sinusitis
2. Maxillary Carcinoma
3. Maxillary polyp
4. Maxillary fibrous dysplasia

Correct answer: 4. Maxillary fibrous dysplasia

Explanation: Extra oral film taken in a case of maxillary fibrous dysplasia shows ground glass appearence. Intraoral film taken in this condition shows orange peel appearence. Fibrous dysplasia is an idiopathic skeletal disorder in which medullary bone is replaced by poorly organized structurally unsound fibro osseous tissue. Most commonly involved site is the posterior maxilla. In this condition, the normally radiolucent maxillary antrum may be partially or totally replaced by the radio-opaque lesion.